A 40 year old male patient complains of muscle and joint pain. Patient is a known case of systemic lupus erythematosus. Which type of necrosis is seen in this patient?
1. Coagulative
2. Liquefactive
3. Fat
4. Fibrinoid

Correct answer: 4. Fibrinoid

Explanation: Fibrinoid necrosis is a special form of necrosis. It usually occurs in immune reactions in which complexes of antigens and antibodies are deposited in the walls of blood vessels, but it also may occur in severe hypertension. Deposited immune complexes and plasma proteins that leak into the wall of damaged vessels produce a bright pink, amorphous appearance on H&E preparations called fibrinoid (fibrinlike) by pathologists.
Reference: Robbins Basic Pathology, Kumar, Abbas, Aster, Elsevier, 10th Edition, Page No: 37